POEM is used for:
1. Achalasia cardia
2. Cancer esophagus
3. Diffuse esophageal spasm
4. Nutcracker esophagus

Correct answer: 1. Achalasia cardia

Explanation: Per Oral Endoscopic Myotomy (POEM) POEM is the application of esophageal myotomy to the concept of NOTES*by submucosal tunneling method . Used for treatment of achalasia Involves creation of long esophageal myotomy using flexible endoscope *NOTES - Natural Orifice Transluminal Endoscopic Surgery